All of the following are predominant motor neuropathy except
1. Acute inflammatory demyelinating polyradiculo neuropathy
2. Porphyric neuropathy
3. Lead intoxication
4. Arsenic intoxication

Correct answer: 4. Arsenic intoxication

Explanation: Motor predominant neuropathies are immune neuropathies: acute GBS,a cute intermittent porphyria,laed neuropathy,diphtheric neuropathy,brachial neuritis-,diabetic lumbosacral plexus neuropathy,hereditarymotor-sensory neuropathy. Ref Harrison20th edition pg 2567